All of the following are seen in Bell's palsy except:
1. I/L facial palsy
2. I/L loss of taste sensation
3. Hyperacusis
4. I/L ptosis

Correct answer: 4. I/L ptosis

Explanation: (d) I/L ptosis(Ref. Scott Brown, 6th ed., 1370)In Bell's palsy because of involvement of the facial nerve, the muscles of the ipsilateral face are paralysed which leads to incomplete closure of the eye but not ptosis.Ptosis is seen in 3rd nerve palsy.